Which is used in CA Breast?
1. Daunorubicin
2. Doxorubicin
3. Cisplatin
4. Actinomycin D

Correct answer: 2. Doxorubicin

Explanation: Ans. (b) Doxorubicin(Ref: Bailey 26/e p815, 25/e p844; Schwartz 10/e p550-551, 9/e p263)* In CAF regimen- Adriamycin (Anthracylcines- Doxorubicin or Epirubicin) is used* Anthracyclines have cardio toxicity